Sertoli cell feedback mechanism involves
1. Decreased LH
2. Decreased FSH
3. Decreased TRH
4. Decreased CRH

Correct answer: 2. Decreased FSH

Explanation: Inhibin is one of several proteins that participate in differentiation and growth. Two glycoproteins, inhibin A and inhibin B, are secreted by Sertoli cells in the testis and granulosa cells in the ovary, inhibiting FSH secretion by direct action on the pituitary.Ref: Ganong's review of medical physiology;24th edition; page no:-427